Heimlich manoeuvre is indicated for
1. Gagging
2. Choking
3. Hanging
4. Drowning

Correct answer: 2. Choking

Explanation: Hemilich manoecure is the first aid resque technique for choking.
Choking is usually accidental.